The GnRH (Gonadotrophic Releasing hormone) reaches the anterior pituitary from the hypothalamus along
1. Its neurological connections
2. Through systemic circulation
3. Its portal vascular connections
4. Through CSF

Correct answer: 3. Its portal vascular connections

Explanation: The portal hypophyseal vessels form a direct vascular link between the hypothalamus and the anterior pituitary. Hypothalamic hormones like GnRH (Gonadotrophic Releasing hormone) reach the anterior pituitary from the hypothalamus along the hypophyseal portal system